Aspirin-sensitive asthma is associated with
1. Obesity
2. Urticaria
3. Nasal polyp
4. Extrinsic asthma

Correct answer: 3. Nasal polyp

Explanation: `Aspirin associated Asthma usually begins with perennial vasomotor rhinitis that is followed by hyperplastic rhinosinusitis with nasal polyps' -- Harrisons Aspirin associated Asthma: Primarily affects adults, although the condition may occur in childhood. Usually begins with perennial vasomotor rhinitis that is followed by hyperplastic rhinosinusitis with nasal polyps. Progressive asthma then appears. On exposure to even very small quantities of aspirin, affected individuals typically develop ocular and nasal congestion and acute, often severe episodes of airways obstruction. Death may follow ingestion of aspirin. REF: Harrison book of internal medicine 21ST EDITION